In endometriosis which of the following is not given:-
1. Gonadotropin analogue
2. Aromatase inhibitor
3. Mifepristone
4. Estradiol

Correct answer: 4. Estradiol

Explanation: Endometriosis: The presence of endometrial tissue (glands & stroma) outside of the uterine cavity Endometriosis is an estrogen dependent condition Estrogen is not given in its treatment Drugs used for medical management of endometriosis are: Oral contraceptive pills Mirena: LNG IUCD progesterones: Dienogest, Medroxyprogesterone, dydrogesterone Androgens: danazol GnRH analogues Mifepristone